Metronidazole is indicated in the treatment of which one of the following ?
1. Traveller's diarrhea
2. Escherichia coli-induced diarrhoea
3. Cryptosporidium-induced diarrhea
4. Helicobacter pylori infection

Correct answer: 4. Helicobacter pylori infection